Brachytherapy is used in:
1. Stage Ib Ca cervix
2. Ovarian Ca
3. Stage IV Ca vagina
4. Stage II fallopian tube Ca

Correct answer: 1. Stage Ib Ca cervix

Explanation: Ans. is a, i.e. Stage 1b Ca cervixRef: Dutta Gynae. 4th/ed, p352-3, 342; Shaw 15th/ed, p414* Radiotherapy is recommended in advanced stages of Ca cervix i.e. stage IIB onwards.Q* Brachytherapy is commonly used.* For larger tumors initially external radiation then brachytherapy is given.* In small tumors brachytherapy is given first followed by external radiation.* For stage IB and IIA - both surgery and radiotherapy yield similar results.* There is very little scope of radiotherapy in ovary tumors. Only Granulosa cell tumor and dysgerminoma are radiosensitive and in them also external radiotherapy is instituted for elderly woman. - Dutta 5th/ed, p365-8* Vaginal squamous cell Ca is only moderately sensitive to irradiation.* In all advanced cases exenteration operation is done. - Shaw 14th/ed, p358* Fallopian tube carcinoma: Total hysterectomy with Bilateral Salpingo-oophorectomy along with omentectomy followed by external pelvic radiation is the Treatment of Choice in cancer of Fallopian Tube. -Dutta Gynae 5th/ed, p356